An old man presenting to the Emergency following about of prolonged vomiting with excessive haematemesis following alcohol ingestion is likely to suffer from
1. Mallory - Wesis syndrome
2. Oesophageal varices
3. Gastric Cancer
4. Bleeding disorder

Correct answer: 1. Mallory - Wesis syndrome

Explanation: In Mallory- Weiss syndrome, patient presents with vigorous vomiting causing mucosal tears producing vertical split in the gastric mucosa, immediately below the squamocolumnar junction at the cardia in 90 percent of cases and remaining 10 percent as tear in the oesophagus Alcoholism is a trigger factor for vomiting BAILEY AND LOVE 26TH EDITION PART-11 CHAPTER-62 PAGE NO.994